Delete A year 6 old child with IQ of 50. Which of the following can the child do
1. Identify colours
2. Read a sentence
3. Ride a bicycle
4. Copy a triangle

Correct answer: 1. Identify colours

Explanation: these are the developmental milestones acquired as per the age